A 30 year old G1P1001 patient comes to see you In office at 37 weeks gestational age for her routine OB visit. Her 1st pregnancy resulted in a vaginal delivery of a 9-lb, 8-02 baby boy after 30 minutes of pushing. On doing Leopold maneuvers during this office visit codetermine ttwt the fetus is breech. Vaginal exam demonstrate that the cervix is 50% effaced and 1-2 cm dilated. The presenting breech is high out of pelvis. The estimated fetal weight, is about 7 lb. yn the patient- for a USG, which confirms a fetus frank breech prestation. There is a normal am &; amniotic fluid present, and the head is well-felt the patient's obstetrician, you offer all the following possible mgmt plans except
1. Allow the patient to undergo a vaginal breech delivery whenever she goes into labor
2. Send the patient to labor and delivery immediately for an emergen CS
3. Schedule a CS at or after 39 weeks gestation a
4. Schedule an ext cephalic version In next few days

Correct answer: 2. Send the patient to labor and delivery immediately for an emergen CS

Explanation: definite indications for elective Caesarean section all complicated breech pregnancy Contracted or borderline pelvis Large babies Severe IUGR Hyper extension of fetal head Footling or knee presentation Previous Caesarean section Lack of an obstetrician experienced in assisted breech delivery can also be considered an indication for for elective Caesarean section (refer pgno:378 sheila textbook of obstetrics 2 nd edition)